True about notochord are all except?
1. Defines axis of embryo
2. Serves as primary inductor
3. Derived from hypoblast
4. Remains as nucleus pulposus

Correct answer: 3. Derived from hypoblast

Explanation: Notochord is a bud like structure formed by epiblast cells extending from cranial end of primitive streak to caudal end of prochordal plate, in between the ectoderm and endoderm. Siginificances of notochord includes following :-It defines the axis of embryo.It functions as the primary inductor, inducing the overlying ectoderm to develop into neural plate (the primordium of CNS).It serves as the basis for development of axial skeleton. The notochord is an intricate structure around which vertebral column is formed and indicates future site of vertebral bodies. However, the notochord does not give rise to vertebral column, after development of vertebral bodies, the notochord degenerates and disappears, but parts of it persist as the nucleus pulposus of intervertebral disc.